Which of the following are necessary for Niacin synthesis
1. Tryptophan
2. Vitamin B2
3. Vitamin B6
4. All of the above

Correct answer: 4. All of the above

Explanation: 60 mg Tryptophan = 1 mg Niacin
2 x 3 = 6 
Synthesis of vitamin B3 requires B2 and B6.